Common cause of neonatal hypoglycemia is:
1. Deficiency of glucagon
2. Glycogen storage diseases
3. Maple syrup urine disease
4. Infant of diabetic mother

Correct answer: 4. Infant of diabetic mother

Explanation: Ans. D i.e. Infant of diabetic mother